Enzyme replacement therapy is not available for?
1. Gaucher's disease
2. Tay sach disease
3. Pompe's disease
4. Hurler syndrome

Correct answer: 2. Tay sach disease

Explanation: Important diseases for which enzyme replacement therapy is available are :-Gaucher's diseaseMaroteaux Lamy syndrome (mucopolysaccharidosis VI)Hurler syndrome (mucopolysaccharidosis I)Fabry's diseaseHunter syndrome (mucopolysaccharidosis II)Pompe's disease (Type II glycogenosis)